All of following are seen in GH deficiency EXCEPT:
1. Hyperglycemia
2. Stunting
3. Delayed bone age
4. High pitched voice

Correct answer: 1. Hyperglycemia

Explanation: Ans. (a) HyperglycemiaRef : Harrison 19th ed. / 2257-58* From late in the first year until mid teens, poor growth and/or shortness is the hallmark of childhood GH deficiency.* It tends to be accompanied by delayed physical maturation so that bone maturation and puberty may be delayed by several years.* Severe GH deficiency in early childhood also results in slower muscular development, so that gross motor milestones may be delayed.* Some severely GH-deficient children have recognizable, cherubic facial features characterized by maxillary hypo- plasia and forehead prominence. These children have a high pitched voice and are stunted. GH deficiency is associated with hypoglycemia. In contrast gigantism or acromegaly is associated with impaired glucose tolerance.